A 36 years old factory worker developed itchy annular scaly plaques in both groins. Application of a corticosteroid ointment led to temporary relief but the plaques continued to extend at the periphery.The most likely diagnosis is –
1. Erythema annulare centrifugam
2. Granuloma annulare
3. Annular lichen planus
4. Tenia cruris

Correct answer: 4. Tenia cruris

Explanation: In this question :-


Annular lesion in groins
Scaly
Itching
Extending peripherially


All suggest the diagnosis of dermatophyte infection.
Dermatophyte infection of groin is known as T. cruris.